Hypopnea is defined as?
1. > 10% reduction in airflow for at least 10 seconds with > 1% desaturation on arousal
2. > 20% reduction in airflow for at least 10 seconds with > 2% desaturation on arousal
3. > 30% reduction in airflow for at least 10 seconds with > 3% desaturation on arousal
4. > 40% reduction in airflow for at least 10 seconds with > 4% desaturation on arousal

Correct answer: 3. > 30% reduction in airflow for at least 10 seconds with > 3% desaturation on arousal

Explanation: Hypopnea is defined as > 30% reduction in airflow for at least 10 seconds with > 3% desaturation on arousal.